Atropine 1% is given in uveitis to:
1. Cause mydriasis and prevention of posterior synechiae
2. Cause miosis and prevention of anterior synechiae
3. Cause mydriasis and prevention of anterior synechiae
4. Cause miosis and prevention of posterior synechiae

Correct answer: 1. Cause mydriasis and prevention of posterior synechiae

Explanation: Atropine is antimuscranic(Anticholinergic) and ciliary body is supplied by Parasympthetic System Short Ciliary Nerve (3 rd ciliary nerve).hence ,Atropine (Cyclpplegic) Relaxes Ciliary Spasm Doc- for immediate pain releif . Dilates the Pupil ,thus prevents the synchae Formation , breaks the synchiae already being formed Reduces vascularity